Bitot's spot prevalence as public health problem -
1. >1%
2. >2%
3. >0.5%
4. None

Correct answer: 3. >0.5%

Explanation: - bitot's spots are triangular, pearly white or yellowish foamy spots on the bulbar conjunctiva on either side of cornea. - the prevalence of bitot's spots in population at risk more than 0.5 percent is regarded as a public health problem. Reference : Park's textbook of preventive and social medicine, 23rd edition, pg no:616